Best drug among the following for treating hypertension in a diabetic patient:
1. Losartan
2. Propranolol
3. Thiazides
4. All of the above

Correct answer: 1. Losartan

Explanation: Losartan is angiotensin II receptor antagonist. They are the preferred drugs for hypertension in diabetic patients as they prevent diabetic nephropathy- microalbuminuria It is available as 50 mg tablet (REF. Essentials of medical pharmacology K D TRIPATHI 8th Edition)